Function of cerebrocerebellum ?
1. Vestibulo-ocular reflex
2. Smoothening and coordination of movement
3. Planning of movements
4. Postural balance

Correct answer: 3. Planning of movements

Explanation: Ans. is 'c' i.e., Planning of movementsFunctional divisions of cerebellumFrom the functional point of view the cerebellum is divided into three parts : ?1) Vestibulocerebellum (flocculonodular lobe)This division contains flocculus, and nodulus, i.e., flocculonodular lobe. It receives afferent from the vestibular apparatus and sends efferents to the vestibular nuclei directly without projecting on deep nuclei. It works with vestibular apparatus to : -i) Modulate muscular activity so as to achieve postural equilibrium or balance.ii) Coordinate movements of the eyes with movements of head, i.e., vestibulo-ocular reflex .2) SpinocerebellumIt consists of the vermis and the adjacent medial portion of cerebellar hemisphere. It receives proprioccptive information from the body as well as a copy of the "Motor plan" from the motor cortex.By comparing plan, it smoothens and coordinates movements that are ongoing.3) Cerebrocerebellum (neocerebellum)It is the large lateral portion of cerebellar hemisphere. They are the newest from a phylogenetic point of view and therefore also called neocerebellum. They interact with the motor cortex in planning and programming movements.